All of statements about exenatide are true except:
1. It is a GLP -1 analogue
2. It can be used for treatment of Type 1 diabetes mellitus
3. it is given subcutaneously
4. It decreases glucagon

Correct answer: 2. It can be used for treatment of Type 1 diabetes mellitus

Explanation: Exanetide is used in adittional with metformin in type 2diabetes who have inadequate response to oral hypoglycemics. It is glucagon like peptide - 1. It is given parenterally which is dpp-4 resistant- not subjectable to degradation by Dipeptidyl Peptidase (REF.Essential of medical pharmacology K D TRIPATHI 6 Edition, Page No - 273)